Disease not transmitted by Lice is
1. Relapsing fever
2. Trench fever
3. Q-fever
4. Epidemic typhus

Correct answer: 3. Q-fever

Explanation: Ans. is 'c' i.e. Q-fever Lice are vectors of the following diseases:Epidemic typhus - Rickettsia prowazekiRelapsing fever - Borrelia recurrentisTrench fever - Rickettsia quintanaLice itself causes pediculosis which can lead to dermatitis due to scratching and secondary infection.Q-fever is transmitted by soft tick. The causative agent of this disease is Coxiella burnetti.ArthopodsArthropod borne diseases1) Mosquito:1) AnophelesMalaria2) CulexJapanese encephalitis West nile fever Bancroftian filariasis Viral arthritis3) AedesYellow fever DengueDengue haem, fever Chikungunya fever Rift valley fever4) MansonoidesBrugian filariasis2) SandflyKalazar Oriental sore Oraya fever Sandfly fever3) Tse-tse flySleeping sickness4) LouseEpidemic typhus, relapsing fever, trench fever, pediculosis.5) Rat fleaBubonic plague, endemic plague, chiggerosis, hymenolepis diminua6) Black flyOnchocerciasis7) Reduvid bugChaga's disease8) Hard tickTick typhus, viral encephalitis, viral haem. Fever, KFD, Turalemia, tick paralysis, human babesiosis.9) Soft tickQ fever, relapsing fever10)TrombiculidMiteScrub typhus, Rickettsialpox11) Itch miteScabies12) CyclopsGuinea worm disease, Fish tape worm (D. latum)13) CockroachesEnteric pathogens14. HouseflyTyphoid and paratyphoid fever, diarrhoea, dysentery, cholera, gastro-enteritis, amoebiasis, helminthic infestations, poliomyelitis, conjunctivitis, trachoma, anthrax, yaws, etc.